Release of histamine and leukotrienes from mast cells is prevented by:
1. Zileuton
2. Nedocromil sodium
3. Zafirlukast
4. Fexofenadine

Correct answer: 2. Nedocromil sodium

Explanation: nedocromil and sod.cromoglycate- mast cell stabilizers Sodium cromoglycate (Cromolyn sod.) is a synthetic chromone derivative which inhibits degranulation of mast cells (as well as other inflammatory cells) by trigger stimuli. Release of mediators of asthma-like histamine, LTs, PAF, interleukins, etc. are restricted. Nedocromil sodium has properties similar to those of cromolyn Sodium Pharmacology and pharmacotherapeutics Satoskar 24th page no. 586 ESSENTIALS OF MEDICAL PHARMACOLOGY 7th EDITION KD TRIPATHI PG NO.229